Which of the following is best associated with lumefantrine ?
1. Antirrtycobacterial
2. Antifungal
3. Antimalarial
4. Antiamoebic

Correct answer: 3. Antimalarial